Orphan Annie eye nuclei appearance is characteristic of:
1. Papillary carcinoma thyroid
2. Carcinoma pituitary
3. Paraganglioma
4. Meningioma

Correct answer: 1. Papillary carcinoma thyroid

Explanation: - Nuclei of papillary carcinoma cells contain finely dispersed chromatin, which imparts an optically clear or empty appearance of nuclei, giving rise to designation ground-glass or Orphan Annie eye nuclei.